Buccinator muscle is pierced by:
1. Facial nerve
2. Whaons duct
3. Parotid duct
4. Trigeminal nerve

Correct answer: 3. Parotid duct

Explanation: Parotid duct